chest physician performs bronchoscopy in the procedure room of the out patient department with the help of an instrument shown below.To make the instrument safe for use in the next patient waiting outside, the most appropriate method to disinfect it is by?
1. 70% alcohol for 5 min
2. 2% glutaraldehyde for 20 min.
3. 2% formaldehyde for 10 min.
4. 1% sodium hypochlorite for 15 min.

Correct answer: 2. 2% glutaraldehyde for 20 min.

Explanation: The instrument shown in the picture above is an endoscope. Glutaraldehyde It is a high-level disinfectant most frequently used as a disinfectant for heat-sensitive equipment such as dialysis instruments, surgical instruments, suction bottles, bronchoscopes, endoscopes, ear, nose, and throat instruments,spirometry tubing, transducers, anesthesia and respiratory therapy equipment and reuse of laparoscopic disposable plastic trocars . For disinfection of Endoscopes/Bronchoscope,they should be soaked in Glutaraldehyde solution of around 2 % for 20 minutes after properly cleaning the scope. Glutaraldehyde is noncorrosive to metal and does not damage lensed instruments, rubber or plastics. It is also used as a tissue fixative in histology and pathology laboratories and as a hardening agent in the development of x-rays. Glutaraldehyde products are available in a variety of concentrations (solutions range in concentration from 2.4 - 3.4%) Ref : ananthanarayana 10th ed